Inhalational anesthetic that can be used for induction:
1. Sevoflurane
2. Desflurane
3. Enflurane
4. Nitrous oxide

Correct answer: 1. Sevoflurane

Explanation: Ans. A. SevofluraneExplanationOption a: Sevoflurane with a comparative higher MAC and sweet smell. Ideal for inhalational induction. Halothane also has similar property, so it can also be used as induction agent.Option d: As MAC of Nitrous is 104, even if we use 100% nitrous patient can not be induced. Options b and c: Desflurane and enflurane are pungent smelling and not used during induction. These may result in choking and breath holding while induction. Partition coefficient at 37degC AgentMACa (vol%)MACAWAKEb (Vol %)Vapor pressure (mm Hg, 20degC)BloodBrainFat%Recovered as metabolitiesGasBloodBloodHalothane0.750.412432.32.95120Isoflurane1.20.42501.42.6450.2Enflurane1.60.41751.81.4362.4Sevoflurane20.61600.651.7483Desflurane62.46640.451.3270.02n2oc10560.0Gas0.471.12.30.004Xe7132.6Gas0.12----0aMAC (minimum alveolar concentration) values are expressed as vol% the percentage of the atmosphere that is anesthetic. A value of MAC > 100% means that hyperbaric conditions would be required. bMACAWAKE is the concentration at which appropriate responses to commands are lost. cEC5Qfor memory supression (vol %): isoflurane, 0.24; N20, 52.5; values not available for other agents.